Obstruction in pulmonary stenosis may occur at the following sites :
1. Supravalvular
2. Valvular
3. Subvalvular
4. All of the above

Correct answer: 4. All of the above

Explanation: Answer is D (All of the above) Pulmonic stenosis may occur at valvular, supravalvular and subvalvular level. Anatomically, Pulmonary stenosis may be located at: Valvular level Subvalvular level : This is also called Infundibular pulmonary stenosis. Supravalvular level : This is also called Peripheral pulmonary stenosis..